Which of the following is nucleotide reverse transcriptase inhibitor ?
1. Indinavir
2. Nelfinavir
3. Tenofovir
4. Lopinavir

Correct answer: 3. Tenofovir

Explanation: Ans. is 'c' i.e., Tenofovir Antiretroviral drugs Nucleoside reverse transcriptase inhibitors (NRTIs) ? Zidovudin, Didanosine, Zalcitabine, Stavudine, Lamivudine, Abacavir. Nucleotide reverse transcriptase inhibitor- Tenofovir (Katzung 10th/e) Nonucleoside reverse transcriptase inhibitors (NNRTIS) - Nevirapine, Efavirenz, Delavirdine, Etravirine. d)Protease inhibitors - Ritonavir, Indinavir, Nelfinavir, Saquinavir, amprenavir, Lopinavir, Fosamprenavir, Atazanavir, Darunavir, Tipranavir. Fusion inhibitor - Enfuvirtide, Maraviroc. Integrase inhibitors - Roltegravir, Elvitegravir.